Coagulation factor VII is
1. Thromboplstin
2. Accalerin
3. Proconvertin
4. Antihaemophilic factor

Correct answer: 3. Proconvertin

Explanation: Factor VII (EC 3.4.21.21, blood-coagulation factor VIIa, activated blood coagulation factor VII, formerly known as proconvertin) is one of the proteins that cause blood to clot in the coagulation cascade. It is an enzyme of the serine protease class. Ref: guyton and hall textbook of medical physiology 12 edition page number:146,147,148